Lactional amenorrhea is due to
1. Prolactin induced inhibition of GnRH
2. Prolactin induced inhibition of FSH
3. Oxytocin induced inhibition of GnRH
4. Oxytocin induced inhibition of FSH

Correct answer: 1. Prolactin induced inhibition of GnRH

Explanation: High levels of prolactin inhibits GnRH release from Hypothalamus and thus indirectly FSH and LH secretion from anterior pituitary Reference: Textbook of Gynaecology; Sheila balakrishnan; 2nd edition; Page no 27